A 20 yrs adult presents with severe hypoplastic anemia. What is most effective treatment :
1. a-interferon
2. IL-2
3. ATG therapy
4. Bone marrow transplantation

Correct answer: 4. Bone marrow transplantation

Explanation: Answer is D (Bone marrow transplantation) `Bone marrow transplantation is the best therapy for the young patient with a fully histocompatible sibling donor.' The curative treatment for young (<20 year-old) patients with severe idiopathic aplastic anemia is allogenic bone marrow transplantation if there is an available donor. Those with a compatible sibling donor should proceed to transplantation as soon as possible.